Fastest route of absorption of local anaesthetic is
1. Intercostal
2. Epidural
3. Brachial
4. Caudal

Correct answer: 1. Intercostal

Explanation: The fastest route for absorption of LA is intercostal block, due to close location of blood vessel around the nerve, so that is why LA are rapidly taken by in intercostal block.